Tumour that doesn't show spontaneous regression:
1. Neuroblastoma
2. Retinoblastoma
3. Malignant melanoma
4. Osteosarcoma

Correct answer: 4. Osteosarcoma